Infection in renal transplant patient is usually caused by:-
1. CMV
2. HIV
3. Herpes
4. Salmonella

Correct answer: 1. CMV

Explanation: Infection in renal transplant patient is usually caused by CMV. CMV INFECTION : CMV is most important pathogen in clinical transplantationQ. CMV infections usually occur after 30-50 daysQ after transplantation. CLINICAL FEATURES: CMV infections presents as fever, malaise, myalgia, arthralgia, and leukopenia. Organ involvement leads to pneumonitis; ulceration and hemorrhage in the stomach, duodenum, or colon; hepatitis; esophagitis; retinitis; encephalitis; or pancreatitis. DIAGNOSIS: Invasive CMV infection with histologic evidence or a positive CMV culture from deep tissue specimens is confirmatoryQ Chest X-ray: Bilateral diffuse interstitial pneumoniaQ TREATMENT IV ganciclovirQ is the mainstay of treatment and is safe and effective for prophylaxis & treatment. Bacterial infections in a renal transplant patient has the following manifestations: Pyelonephritis Cholecystitis Intra-abdominal abscesses Parotitis